Material of choice for incremental border moulding is:
1. Polyether
2. Greenstick compound.
3. Polysulphide
4. None

Correct answer: 2. Greenstick compound.

Explanation: Incremental or sectional border moulding: It is a procedure, in which portions of the periphery of the tray are refined individually. The material of choice for this procedure is green stick compound